Most common site of fertilization is?
1. Cervix
2. Ampulla
3. Fimbriae
4. Uterus

Correct answer: 2. Ampulla

Explanation: ANSWER: (B) AmpullaREF: Ganong's 22nd ed chapter 23Repeat from December 2010 (obs/gyne)In humans, fertilization of the ovum by the sperm usually occurs in the ampulla of the uterine tube''